Onycholysis is seen in all of the following, except:
1. Allergic dermatitis
2. Psoriasis
3. Antineoplastic therapy
4. Nephrotic syndrome

Correct answer: 4. Nephrotic syndrome

Explanation: Nephrotic syndrome